Not associated with fat necrosis:
1. Liposuction
2. Radiotherapy
3. Mammoplasty
4. Carcinoma Breast

Correct answer: 4. Carcinoma Breast

Explanation: Carcinoma Breast: After surgery/surgical trauma: Wide local excision, Reduction mammoplasty Following radiotherapy including iridium implants Following trauma Autologous fat injection using liposuction technique to fill in irregular contours and small soft tissue defects in the breast may lead to fat necrosis secondary to poor blood supply in the injected fat Ref: Breast pathology by Frances P O Malley (2006)/76-78